Ture about lactulose is -
1. Blood ammonia
2. 10% absorbed from gut
3. Osmotic laxative
4. Disaccharide of lactose and sucrose

Correct answer: 3. Osmotic laxative

Explanation: Ans. is 'c' i.e., Osmotic laxative o Lactulose is an osmotic purgative. o Lactulose is a semisynthetic disaccharide of fructose and lactose which is neither digested nor absorbed in the small intestine. o Lactulose causes reduction of blood NH3 concentration by 25-50% in patients with hepatic encephalopathy.